Early arterial phase enhancement CECT scan of liver indicates towards -
1. Hydatid cyst
2. HCC
3. Hepatic abscess
4. Simple hepatic cyst

Correct answer: 2. HCC

Explanation: Ans. is 'b' i.e., HCC [Rd Kumar and Chrk's Clinical Medicine p. 347) In HCC, the dassic finding on CT imaging is hyper vasclarity/enhancement in the arterial phase with washout in the portal (venous) and delayed phases.